B cell marker are all except:
1. CD 19
2. CD 20
3. CD 10
4. CD 135

Correct answer: 4. CD 135

Explanation: B cell associated markers are CD 10,CD19,CD20,CD21,CD22 and CD23. CD 135 is a proto oncogene.it is also the receptor for the cytokine Flt3 ligand and has the presence of tyrosine kinase activity.its mutation can lead to acute myelogenous leukemia and is associatedwith a poor prognosis.(ref Robbins 9/e590,8th /600)